Definitive test for the diagnosis of neonatal sepsis is?
1. Blood culture
2. Urine culture
3. Immature:Total neutrophil ratio
4. Sepsis screen

Correct answer: 1. Blood culture

Explanation: Blood culture: gold standard for diagnosis of sepsis - performed in all cases of suspected sepsis prior to starting antibiotics